Which of the following artery is not involved in the formation of Kiesselbach's plexus?
1. Anterior ethmoidal artery
2. Posterior ethmoidal artery
3. Greater palatine artery
4. Sphenopalatine artery

Correct answer: 2. Posterior ethmoidal artery

Explanation: Kiesselbach's area or Little's area, is a region in the anteroinferior part of the nasal septum, where four arteries anastomose to form a vascular plexus called Kiesselbach's plexus. The arteries which forms the plexus are: ? Anterior ethmoidal artery (from the ophthalmic artery) ? Sphenopalatine artery (from the maxillary artery) ? Greater palatine artery (from the maxillary artery) ? Septal branch of the superior labial artery (from the facial artery)